All of the following signs are associated with thalamic hemorrhage except
1. Miosis
2. Gaze palsy
3. Hemianopia
4. Ocular bobbing

Correct answer: 4. Ocular bobbing

Explanation: *Thalamic hemorrhage cause several typical ocular disturbances by virtue of extension inferiorly into the upper midbrain. *These include deviation of eyes downward and inward so that they appear to be looking at the nose ,unequal pupils with absence of light reaction,skew deviationwith the eye opposite the hemorrhage displaced downwards and medically , ipsilateralhorners syndrome ,absence of convergence,paralysis of vertical gaze,and retraction nystagmus. Ref Harrison20th edition pg 2345